Armoured Endotracheal tube is used in:
1. Pediatric surgery
2. Neurosurgery
3. Cardiac surgery
4. Thoraxic surgery

Correct answer: 2. Neurosurgery

Explanation: Neurosurgery